Dangerous area of scalp is -
1. Superficialfacia
2. Aponeurosis
3. Subaponeurotic tissue
4. Pericranium

Correct answer: 3. Subaponeurotic tissue

Explanation: Ans. is 'c' i.e., Subaponeurotic tissueo The scalp is soft tissue which covers the calvaria of skull. It consists of five layers and can be memorised by a mnemonic using the initial letters of the word. SCALPa) Skinb) Close network of connective tissue (superficial fascia)c) Aponeurosis (galea aponeurotica) with occipitofrontalis musclesd) Loose areolar (subaponeurotic) tissuee) Pericranium (outer periosteum of skull)o First three layers are intimately connected and move as one unit, and are called surgical layers of scalp or scalp proper.o Connective tissue (superficial fascia) contains large blood vessels and nerves of the scalp. The walls of the vessels are adherent to the fibrous network, so that when the vessels are tom in an open wound they are unable to retract and produce profuse bleeding. Bleeding can be arrested by pressure against the underlying bone, o Loose subaponeurotic areolar tissue (4th layer) is called dangerous area of scalp because it contains emissary veins through which infection in subaponeurotic space may spread readily to intracranial venous sinuses.